True about Wilson's disease is:
1. Increased serum ceruloplasmin
2. Decreased liver copper
3. Increased urinary copper excretion
4. Decreased urine copper excretion

Correct answer: 3. Increased urinary copper excretion

Explanation: C. Increased urinary copper excretion(Ref: Nelson's 20/e p 1939-1940)In Wilson disease serum ceruloplasmin is decreased (<20mg/dL), "free" copper level may be elevated in early ds (>1.6mmol/L)Urinary copper excretion is increased to >100-1000mg/day & hepatic copper content is >250mg/g dry weight in Wilson disease